In which type of ptosis the amount of ptosis decreases with mouth opening
1. Blepharophimosis syndrome
2. Marcus gunn ptosis
3. Myogenic ptosis
4. Neurogenic ptosis

Correct answer: 2. Marcus gunn ptosis

Explanation: Marcus Gunn Jaw Ptosis (congenital synkinetic ptosis) In this condition there occurs retraction of the ptotic lid with jaw movements, because with stimulation of ipsilateral pterygoid muscle the levator palpebrae is also stimulated due to trigemino occulomotor synkinesis In the picture look that on opening of the jaw, ptosis has improved, this is typically marcus jaw winking phenomenon.